Which of the following is not true regarding Vestibular neuroma
1. Nystagmus
2. High frequency sensorineural deafness
3. Absense of caloric response
4. Normal Corneal reflex

Correct answer: 4. Normal Corneal reflex

Explanation: The earliest cranial nerve involved is V nerve which causes reduced corneal sensitivity and corneal reflex. Ref: Textbook of diseases of ENT, PL Dhingra, 7th edition, pg no. 125